Maximum tolerated dose of a new drug is evaluated in:
1. Phase 1
2. Phase 2
3. Phase 3
4. Phase 4

Correct answer: 1. Phase 1

Explanation: Phase 1 clinical trial: Used to evaluate Maximum tolerated dose (MTD) of a new drug. Healthy human volunteers are used. Done for safety and non-toxicity.